A subcentre caters the population of:
1. 5000
2. 10,000
3. 500,000
4. 1 lac

Correct answer: 1. 5000

Explanation: 5000